Corpora amylaceae is seen in:
1. Parotid
2. Pineal gland
3. Prostate
4. Pituitary

Correct answer: 3. Prostate

Explanation: Ans: c (Prostate) Ref: Robbins, 7th ed, p. 1352; Harsh mohan, p. 26# Corpora amylaceae are basophilic, PAS positive, concentrically laminated structures# They represent degenerative changes and they occur in increasing number with advancing age# Consists of GAGS , heat shock proteins and ubiquitin# They are located in astrocytic end processes, prostate, brain and spinal cord in elderly and in old infarcts of lung.Other important structures: Hirano bodies -Alzhiemer diseaseMichaeli gutmann bodies - malakoplakiaLafora bodies - myoclonic epilepsyVerocay bodies - neurilemmomaRed fibres - apoptosisVirchow- hassall body- thymusPsammoma bodies- Papillary ca thyroid meningiomaCitron bodies - Cl. Septicum infectionDurk granuloma - brain in malaria